In coagulation pathway, "FIBRINSTABILIZINGFACTOR" is
1. Factor XII
2. Factor XIII
3. High Molecular Weight Kinimogen (HMWK)
4. Factor EX

Correct answer: 2. Factor XIII

Explanation: Clotting Factor SynonymsFibrinogenFactor IProthrombin Factor IITissue factorFactor III; tissue thromboplastinCalciumFactor IVFactor VProaccelerin; labile factor;Factor VII Serum prothrombin conversion accelerator (SPCA); proconvertin; stable factorFactor VIIIAntihemophilic factor (AHF); antihemophilic globulin (AHG); antihemophilic factor AFactor IXPlasma thromboplastin component (PTC); Christmas factor; antihemophilic factor BFactor X Stuart factor; Stuart-Prower factorFactor XI Plasma thromboplastin antecedent (PTA); antihemophilic factor CFactor XII Hageman factorFactor XIII Fibrin-stabilizing factorPrekallikreinFletcher factorHigh-molecular-weightkininogen Fitzgerald factor; HMWK (high molecular weight kininogen)Ref: Guyton and Hall textbook of medical physiology 13th edition. Page: 484